Depigmenting agent of choice in in treatment of dermatological disorders is
1. Hydroquinone
2. Zinc
3. Kojic acid
4. Azelaic acid

Correct answer: 1. Hydroquinone

Explanation: Ans. is 'a' i.e., Hydroquinone Skin depigmenting agents in clinical use are Hydroquinone - most effective and widely used Kojic acid Kojicdipalmitate Azelaic acid